PDL is thinnest at:
1. CEJ
2. Apex
3. Middle
4. None of the above

Correct answer: 3. Middle